Which drug inhibits both cyclooxygenase and lipooxygenase?
1. Aspirin
2. Indomethacin
3. Imidazole
4. BW755

Correct answer: 4. BW755

Explanation: Ans. is 'd' i.e., BW 755 DrugEnzyme inhibitedAspirinIndomethacinImidazoleBW 755CorticosteroidsCyclooxygenaseCyclooxygenaseThromboxane synthetaseCyclooxygenase and lipoxygenasePhospholipase A2